In a 2 year old child maxillary deciduous central incisor
is intruded by 4mm. Treatment is
1. Remove the intruded incisor
2. Resorption of the intruded incisor
3. Make patient comfortable and observe
4. Resorption and splint

Correct answer: 3. Make patient comfortable and observe